The values obtained are arranged in ascending or descending order to calculate which of the following?
1. Median
2. Mode
3. Mean
4. Ratio

Correct answer: 1. Median

Explanation: The mean (or average) of a set of data values is the sum of all of the data values divided by the number of data values. The median of a set of data values is the middle value of the data set when it has been arranged in ascending order. That is, from the smallest value to the highest value. The mode of a set of data values is the value(s) that occurs most often. A ratio shows the relative sizes of two or more values.